"Set the teeth where they grow " was stated by:
1. Pound.
2. Payne.
3. Boucher
4. Fisher.

Correct answer: 3. Boucher